Linezolid belongs to which class of Drugs?
1. Macrolide
2. Aminoglycoside
3. Oxazolidinones
4. Streptogamins

Correct answer: 3. Oxazolidinones

Explanation: Ref: Goodman A Gi liman, The pharmacological basis of therapeutics, 12th edition, Pg No. I537-1538Explanation:Oxazolidinones (Linezolid)It is a synthetic antimicrobial agentActive against gram positive organisms like staphylococci, streptococci, enterococci and anaerobic cocciIt is also active against gram positive bacilli like corneybacteria. Nocardia and listeria monocytogenesPrimarily bacteriostatic but cidal against streptococciActs by inhibiting the protein synthesis after binding to a site on 23S ribosomal RNA of SOS subunitUnique pharmacokinetic property in that it has 100% oral bioavailability (like isosorbide mononitrate) hence both oral and parenteral doses are same- 600 nig bd in adultsApproved for Vancomycin resistant E.faecium. nosocomial infections, community aquired pneumoniaMDR tuberculosis is an off lable useErythromycin, Clarithromycin, Roxithromycin & Azithromycin are the macrolide antibiotics. Tacrolimus is an macrolideQuinupristin - Dalfopristin is a combination of two Streptogramins